Smoking is generally not associated as a risk factor with-
1. Small cell carcinoma
2. Respiratory bronchiolitis
3. Emphysema
4. Bronchiolitis obliterans organizing pneumonia

Correct answer: 4. Bronchiolitis obliterans organizing pneumonia

Explanation: Bronchiolitis obliterans organising pneumonia or cryptogenic organizing pneumonia is a clinicopathologic syndrome of unknown etiology.It is an interstitial lung disease not associated with cigarette smoking. Respiratory bronchiolitis is an ILD associated with cigarette smoking.Emphysema is a COPD which is closely linked with the intensity of cigarette smoking,expressed in pack years.Cigarete smoking is by far the most important cause of lung cancer.It is thought to be directly responsible for at least 90% of lung carcinomas,the risk being proportional to the amount smoked and to the tar content of cigarettes. Ref:Harrison's medicine-18th edition,,page no:2166,2167.